Whic of the following is the socratic method of teaching -
1. Lecture
2. Films
3. Exhibition
4. Panel discussion

Correct answer: 4. Panel discussion

Explanation: - Socratic method is a two way method of communication in which both the communicator and the audience take part. - panel discussion is a group approach in health communication. - in a panel discussion, 4-8 people who are qualified to talk about a topic sit and discuss a given problem or topic in front of a large group or audience. Reference : Park's textbook of preventive and social medicine, 23rd edition, pg no:855, 865